Tuohy's needle is used for:
1. Spinal block
2. Epidural block
3. Saddle block
4. Brachial plexus block

Correct answer: 2. Epidural block

Explanation: This is tuohy needle used for epidural anaesthesia